Co enzyme for transamination-
1. Pyridoxal phosphate
2. Vitamin C
3. Biotin
4. Thiamine

Correct answer: 1. Pyridoxal phosphate

Explanation: Ans. is 'a' i.e., Pyridoxal phosphate* All transamination enzymes require Vitamin B6 or Pyridoxal phosphate as coenzyme.